The commonest cause of acute otitis media in children is
1. H influenza
2. S pneumonia
3. S aureus
4. Pseudomonas

Correct answer: 2. S pneumonia

Explanation: The commonest cause of Acute otitis media is Streptococcus pneumoniae in all age groups.Other agents- H. Influenzae, Moraxella catarrhalis, and Pseudomonas.Ref: Hazarika; 3rd ed; Pg: 149